All are drugs known to be associated with drug hypersensitivity syndrome, EXCEPT:
1. Lamotrigine
2. Allopurinol
3. Nevirapine
4. Tetracycline

Correct answer: 4. Tetracycline

Explanation: Drug hypersensitivity syndrome is a serious form of drug reaction characterised by a triad of fever, rash, and internal organ involvement most commonly liver dysfunction. It occurs within 2-6 weeks of exposure to the drug. Most common implicated drugs are phenytoin, carbamazepine, lamotrigine, dapsone, minocycline, sulfonamide, allopurinol and nevirapine. Though minocycline is commonly associated tetarcycile and doxycycline has not been reported. Treatment is systemic steroids in severe cases. Ref: Comprehensive Dermatologic Drug Therapy Wolverton, 2nd edition, Page 978-981